A genetic disorder renders fructose 1,6 -- biphosphatase in liver less sensitive to regulation by fructose 2,6 -- bi-phosphate. All of the following metabolic changes are observed in this disorder except
1. Level of fructose 1,6--biphosphate is higher than normal
2. Level of fructose 1,6 -- biphosphate is lower than normal
3. Less pyruvate is formed
4. Less ATP is generated

Correct answer: 1. Level of fructose 1,6--biphosphate is higher than normal

Explanation: Fructose 2,6 - biphosphate acts to decrease the activity of fructose 1,6 - biphosphatase. When the enzyme becomes less sensitive to regulation, the inhibitory effect is lost and the enzyme activity increases. The following effects are observed:1. Level of fructose 1,6 -- biphosphate decreases2. Pyruvate is used up for glucose synthesis3. ATP is used up for glucose synthesis Reference: Harpers illustrated biochemistry 30th edition